The type of ANCA most commonly associated with Wegner's granulomatosis-
1. cANCA
2. pANCA
3. Both
4. None

Correct answer: 1. cANCA

Explanation: Ans. is A cANCA It has 75% cANCA 10-15 % pANCA ANCA cANCA pANCA o Wegener's granulomatosis o Microscopic polyangiitis o Churg-Strauss syndrome o Idiopathic crescentic glomerulonephritis o Goodpasteur's syndrome, o pANCA's are also associated with certain non- vasculitic entities such as certain rheumatic and nonrheumatic autoimmune diseases. Inflammatory bowel diseases, certain drugs, - infections such as endocarditis and bacterial airway infection in patients with cystic fibrosis.